All of _the following may be seen in patient of cardiac tamponade exceptAll of _the following may be seen in patient of cardiac tamponade except-
1. Kussmaul's sign
2. Pulsus paradoxus
3. Electriciaalten alternans
4. Right ventricular diastolic collapse on echocardiogram

Correct answer: 1. Kussmaul's sign

Explanation: Kussmaul sign is a paradoxical rise in jugular venous pressure (JVP) on inspiration, or a failure in the appropriate fall of the JVP with inspiration. It can be seen in some forms of heart disease and is usually indicative of limited right ventricular filling due to right heart dysfunction Ref Harrison 20th edition pg 1456